A patient with ITP on steroids underwent splenectomy. Patient got fever on 3rd post-operative day. Next investigation is likely to reveal?
1. Left lower lobe consolidation
2. Port site infection
3. Focal Intra-abdominal collection
4. UTI

Correct answer: 1. Left lower lobe consolidation

Explanation: Complications of splenectomy are: Intra operative Early post-operative Late post-operative Hemorrhage from slipped ligature (MC) Organ injury Pulmonary: Left lower lobe atelecasis (MC) Sub phrenic abscess Wound problems- Hematoma, seromas, infections. Splenic/portal vein thrombosis Ileus OPSI (Overwhelming post-splenectomy infection) Splenosis